Chronic liver disease is caused by -a) Hepatitis Bb) Hepatitis Ac) Hepatitis Cd) Hepatitis E
1. a
2. bc
3. ac
4. b

Correct answer: 3. ac

Explanation: 50–80% of patient infected with HCV develop: Chronic infection
1–10% of patient infected with HBV develop: Chronic infection
Hence among hepatitis viruses, chronicity is highest with HCV infection